Drug having analgesic and moderate anti-inflammatory property:
1. Paracetama!
2. Nimusulide
3. Ketorolac
4. Diflunisal

Correct answer: 3. Ketorolac

Explanation: Ans; c (Ketorolac) Ref: Tripathi, 6th ed, p. 194Ketorolac has potent analgesic and modest anti-inflammatory action. It is rapidly absorbed after oral and IM administration. It is commonly used to relieve mild to moderate post surgical pain.Nimusulide-The analgesic, antipyretic, and anti-inflammatory action of nimesulide has been rated comparable to other NS AlDs. It has been primarily used for short lasting painful inflammatory conditions.Paracetamal- (acetoaminophen) It is an active metabolite of phenacetin and is responsible for its analgesic effect. It has no significant anti-inflammatory effects.In therapeutic doses, a mild increase in hepatic enzymes may occasionally occur in the absence of jaundice; this is reversible if drug is withdrawn. Ingestion of 15 grn of acetoaminophen may be fatal, death being caused by severe hepatotoxicity with centrilobular necrosis, sometimes associated with acute renal tubular necrosis. Doses more than 4g/d are not recommended and a history of alcoholism contraindicates even this dose.Diflunisal-It is derived from salicylic acid. Analgesic and anti- inflammatory effects are 4--5 times more potent than aspirin.lt undergoes an enterohepatic cycle with reabsorption of its glucoronide metabolite followed by cleavage of the glucoronide to again release the active moiety.